All of the following statements are true regarding warfarin toxicity except
1. Skin necrosis occurs during initiation of therapy
2. Most common sites are toes and tips of fingers
3. Decreased quantity of protein C
4. Decreased incidence of adverse effects if therapy with LMWH is started

Correct answer: 2. Most common sites are toes and tips of fingers

Explanation: Refer Harrison 18/e p433 Common sites of warfarin -induced skin necrosis are breasts, thighs and buttocks